HLA marker for Gluten sensitive enteropathy ?
1. DR3 and DQ1
2. DR4
3. B27
4. DQ2 and DQ8

Correct answer: 4. DQ2 and DQ8

Explanation: Gluten sensitive enteropathy ( celiac disease ) has a strong association with  HLA DQ2 and DQ8